Cardiomyopathy is not a feature of
1. Duchenne's Muscular Dystrophy
2. Friedriech's ataxia
3. Pompe disease
4. Lowe's syndrome

Correct answer: 4. Lowe's syndrome

Explanation: Lowe's syndrome is not associated with cardiomyopathy. Cardiomyopathy is are associated with genetic disorder like duchenne dystrophy,Friedrich ataxia ,pompe disease. Ref : Harrison's principles of internal medicine, 19th edition, p.no:1555